All of the following factor stimulate angiogenesis in a fetus Except:
1. Vascular Endothelial Growth Factor (VEGF)
2. Basic Fibroblast Growth Factor (bFGF)
3. Interleukin - 8 (IL8)
4. Interferon Alpha (INFa)

Correct answer: 4. Interferon Alpha (INFa)

Explanation: D i.e. Interferon Alpha (INFa) 'Ocular Angiogenesis' by Tombran - Tink and Barnstable (2006)/297; Lasers in Ophthalmology (2003)/ 2251 Interferon alpha is an anti- angiogenic' agent that suppresses angiogenesis. 'Interferon alpha is an anti- angiogenic agent. Interferon alpha 2a causes dramatic involution of hemangiomas and inhibits iris neovascularization in models of ischemic retinopathy'.